About peptidyl transferase true is:
1. Used in elongation and cause attachment of peptide chain to A-site of tRNA
2. Used in elongation and cause attachment peptide chain to P site
3. Used in initiation and cause 43S complex formation
4. Used in initiation and cause 48S complex formation

Correct answer: 1. Used in elongation and cause attachment of peptide chain to A-site of tRNA

Explanation: Ans. A. Used in elongation and cause attachment of peptide chain to A-site of tRNA(Ref: Harper 31/e page 403)The a amino group of the new aminoacyl-tRNA in the A site carries out a nucleophilic attack on the esterified carboxyl group of the peptidyl-tRNA occupying the P site (peptidyl or polypeptide site). At initiation, this site is occupied by the initiator met-tRNAi.This reaction is catalyzed by a peptidyl transferase, a component of the 28S RNA of the 60S ribosomal subunit.This is another example of ribozyme activity.